CRAFFT Questionnaire is used for
1. Screening for physical dexterity
2. Screening for thyroid disorders
3. Screening Adolescents for drug abuse
4. Screening parents for abusive tendencies

Correct answer: 3. Screening Adolescents for drug abuse